Which of the following doesn't cause cavitation in lung parenchyma?
1. Squamous cell Ca
2. TB
3. Hamartoma
4. Staphylococcus pneumonia

Correct answer: 3. Hamartoma

Explanation: There is an extensive list of diseases that causes cavitation, be familiar with the common ones. Neoplastic Bronchogenic carcinomas Metastases Lymphomas Immunologic Wegener granulomatosis Rheumatoid nodule Infections Bacteria: Staph. aureus, gram-negative bacteria, pneumococcus, mycobacteria, melioidosis, anaerobes, actinomycosis, nocardiosis Fungi: Histoplasmosis, coccidioidomycosis, Blastomycosis, aspergillosis, mucormycosis, cryptococcosis, P carinii, sporotrichosis Parasites: Hydatid disease Others Thromboembolism or septic embolism Progressive massive fibrosis (pneumoconiosis) Bronchiectasis (localized) Congenital lesions